Intense local pain, swelling, ecchymoses, and oozing of the haemolysed blood from the site of snake bite, is most likely to occur with bite of which species of snake?
1. Cobra
2. Viper
3. Sea snakes
4. Any of the above

Correct answer: 2. Viper

Explanation: Ans. b (Viper). (Ref. Harrison's internal medicine 16th ed. 615, 2593)SNAKEBITEApproximately 2500 different species of snakes are known. Approximately 20% of the total numbers of the snake species are poisonous.Types of Poisonous Snakes1. Cobra and Krait - these secrete neurotoxic venom and cause Paralysis2. Viper - these secrete Haemotoxic venom and cause Haemolysis and Haemorrhage.3. Sea Snakes - secrete myotoxic venom and cause Muscular painCharacteristic FeaturesNonpoisonous SnakesPoisonous SnakesHeadRoundedTriangle except CobraFangsNot presentPresentPupilsRoundedElliptical pupilAnal PlateDouble row of platesSingle row of platesBite MarkRow of small teeth.Fang Mark1. Cobra or Krait (Neurotoxic):# Mild Local symptoms -- burning, redness, swelling, superficial necrosis.# Marked neurotoxic effects.# Earliest symptom - Ptosis - inability to keep Eyes open.# Giddiness, Lethargy, Muscle weakness.# Spreading Paralysis - causing difficulty in speaking and breathing, Salivation, Vomiting. Frothing around mouth.2. Viper (Vasculotoxic):# Haemotoxic venom is very painful# Severe Local symptoms -- Intense Pain, Inflammation, Oozing of haemolytic blood.# Marked Vasculotoxic effects.# Bleeding from mucous membrane of the Mouth, Anus, Nose and hemorrhages under the skin.# Because of local damage to circulatory cells, hemotoxic venom spreads more slowly and has a slower action than the neurotoxins.# Vascular Collapse - Cold Skin, Rapid feeble Pulse, Dilated Pupils insensitive to light, Gradual loss of consciousness.3. Sea Snakes (Myotoxic)# No Local symptoms.# Severe Pain while moving Neck, Trunk and Limbs. A few hours later urine turns Brown to Black due to the presence of muscle protein Myoglobin.